True about spleen is all except
1. The long axis of the spleen lies along the twelth rib
2. The spleen is situated in the upper left quadrant of the abdomen beneath the diaphragm
3. A pathologically enlarged spleen extends downward and forward, toward the umbilicus
4. Because of the presence of the left colic flexure and the phrenicocolic ligament, the spleen is unable to expand vertically downward

Correct answer: 1. The long axis of the spleen lies along the twelth rib

Explanation: The long axis of the spleen lies along the tenth rib. The spleen plays multiple supporting roles in the body. It acts as a filter for blood as part of the immune system. Old red blood cells are recycled in the spleen, and platelets and white blood cells are stored there. The spleen also helps fight certain kinds of bacteria that cause pneumonia and meningitis Ref ganong's review of medical physiology 25e